Which of the following drugs does not act by blocking Gp IIb/IIIa receptors ?
1. Abciximab
2. Eptifibatide
3. Tirofiban
4. Clopidogrel

Correct answer: 4. Clopidogrel